Ca prostate commonly metastasises to the vertebrae:
1. Because valveless communication exist with Batson's periprostatic plexus.
2. Via drainage to Sacral lymph node
3. Of direct Spread
4. None of the above

Correct answer: 1. Because valveless communication exist with Batson's periprostatic plexus.

Explanation: Prostate cancer homing to the lumbar spine mediated by the connection of the Batson's periprostatic venous vessel to the vertebral venous plexus. Ref: The Biology of Skeletal Metastases: Volume 118, 2004, Page 292; bailey and Love's Short Practice of Surgery, 23rd Edition, Page 1250; Clinical Surgery By S. Das, Page 196.